An operant condition where paradigm pain stimulus is given to a child for decreasing a certain undesired behaviour can be classified as -
1. Positive reinforcement
2. Negative reinforcement
3. Punishment
4. Negotiation

Correct answer: 3. Punishment

Explanation: Reinforcement
Positive reinforcement:- A reward is given on the performance of the desired behavior.
Negative reinforcement:- On the performance of the desirable behavior, punishment is avoided.
Punishment:- On performing an undesired behavior, an aversive stimulus (paradigm pain in this question) is given.
Note-The basic difference between reinforcement and punishment is that reinforcement (Positive or negative) is to promote desired behavior, on the other hand, punishment is to decrease undesired behavior.